Not seen in SLE affected kidney?
1. Lipoid nephrosis
2. Focal Glomerulonephritis
3. Diffuse Glomerulonephritis
4. Membranous Glomerulonephritis

Correct answer: 1. Lipoid nephrosis

Explanation: Renal manifestations in SLE (Lupus nephritis)

 Nephritis is the most serious manifestation of SLE and renal failure is the most common cause of death in SLE.
Findings of SLE nephropathy are called as full house phenomenon.

A. Glomerular diseases

WHO classification lupus nephritis is as follows

1) Class I (minimal or no detectable abnormalities)

It has the best prognosis.

2) Class II (Mesangial lupus GN or mesangial proliferative)

Characterized by mesangial cell proliferation and lack of involvement of glomerular capillary wall. Glomerular mesangial deposits of immunoglobulin and complement are the earliest feature and are found in all types of lupus nephritis.

3) Class III (focal proliferative GN)

There are subendothelial deposits. Granular deposits also occur in mesangium as occur in all forms of lupus nephritis.

4) Class IV (Diffuse proliferative GN)

It is the most common type of lupus nephritis with the worst prognosis. It is characterized by wire loop lesions. There are subendothelial deposits with granular deposits in the mesangium.

5) Class V (Membranous GN)

There is widespread thickening of the capillary wall with subepithelial deposits and granular deposits in the mesangium.

6) Class VI (Sclerosing nephritis)

There is global necrosis of nearly all glomerular capillaries.
Wire loop lesions are seen most commonly in diffuse proliferative (class IV), but may also be seen in class III (focal proliferative) and class V (membranous) GN.

B. Tubulointerstitial disease

Though glomeruli are involved primarily in lupus nephritis, interstitium and tubules can also be involved especially in association with diffuse proliferative glomerulonephritis. Granular deposition of immunoglobulin and complement in tubular basement membrane are seen.